Which of the following drugs is not used for the therapy of congenital adrenal hyperplasia?
1. Hydrocortisone
2. Prednisolone
3. Antibiotics
4. Dexamethasone

Correct answer: 3. Antibiotics

Explanation: Ans. C. AntibioticsPatients with congenital adrenal hyperplasia require lifelong treatment. Patients with salt wasting and virilizing forms should be treated with hydrocortisone and fludrocortisone. After completion of growth, synthetic glucocorticoid preparations (dexamethasone, prednisolone) can be used.